Which of the following is not true about PCR -a) Thermostable enzyme is usedb) Annealing is done after DNA denaturationc) Specific primers re-requiredd) Required atleast 1 week time for synthesise) DNA polymerase has to be added on each cycle
1. ab
2. de
3. cd
4. bd

Correct answer: 2. de

Explanation: PCR is a speedy process & does not require 1 week time for synthesis.
DNA polymerase need not be added in each cycle as it is thermostable.